Which of the following is true about ventilation and perfusion in alveoli in an erect posture
1. Ventilation/perfusion ratio is maximum at apex
2. Ventilation/perfusion ratio is maximum at base
3. Ventilation is maximum at apex
4. Perfusion is maximum at apex

Correct answer: 1. Ventilation/perfusion ratio is maximum at apex

Explanation: Apical alveoli have low ventilation and perfusion per unit volume of the lung, whereas the basal alveoli have high ventilation and perfusion.
Ventilation-perfusion ratio and the PaO2 is maximum at the apex. PCO2 is maximum at the base.